Which drug used in bronchial asthma needs monitoring:
1. Theophylline
2. Cromoglycate
3. Salmeterol
4. Terbutaline

Correct answer: 1. Theophylline

Explanation: Theophylline